Most common gene associated with renal cell carcinoma
1. WT1
2. BRCA 1
3. VHL
4. PATCH

Correct answer: 3. VHL

Explanation: Both sporadic and familial RCC is associated with: Loss of sequence on chromosome 3 either by translocation (3:6, 3:8, 3:11) or deletion. This region harbours the VHL gene. Familial RCC is associated with:- Von Hippel-Lindau syndrome Ref: RAM DAS NAYAK EXAM PREPARATORY MANUAL FOR UNDERGRADUATES 2nd ed. pg no: 633